In dating of bones, which of the following is false
1. In 50 - 100 years, the nitrogen content is more than 3.5 g%
2. Fresh bone shows 15 aminoacids
3. Blood pigments persist upto 100 years
4. Precipitin tests are negative after 5 years

Correct answer: 4. Precipitin tests are negative after 5 years

Explanation: Dating of bones: - Fresh bone - 4 to 5 g% nitrogen content, In 50 - 100 years, the nitrogen content is more than 3.5 g% - Fresh bone shows 15 aminoacids, more than 100 years - 7 aminoacids - Blood pigments persist upto 100 years - Precipitin tests are negative after 10 years